Laparoscopy - pressure in the abdomen of children -
1. 2-6 mm Hg
2. 8-12 mm Hg
3. 14 - 18 mm Hg
4. 20 - 24 mm Hg

Correct answer: 2. 8-12 mm Hg

Explanation: Ans. is 'b' i.e., 8-12 mm Hg * The optimal intrabdominal pressure for laproscopy in children has been established to be between 8-12 mm Hg, with neonates tolerating lower pressures than elders.